Auspitz sign is seen in
1. Psoriasis
2. Lichen planus
3. Alopecia aerate
4. Lichen sclerosis

Correct answer: 1. Psoriasis

Explanation: Auspitz sign is seen in psoriasis: Psoriasis lesions are covered with silvery-white mica-like scales. when scaling is not visible to diagnose uncertain cases it is induced by light scratching. Successive removal of scales reveals underlying membrane with small bleeding spots where the thin supra-papillary epidermis has been torn off this sign of visible bleeding spots on the removal of scales is seen in psoriasis The Auspitz sign refers to the appearance of small bleeding points after successive layers of scale have been removed from the surface of psoriatic papules or plaques. Ref Harrison 20th edition pg 1211